The drug of choice for secondary syphilis?
1. Chloramphenicol
2. Benzathine penicillin
3. Doxycycline
4. Vancomycin

Correct answer: 2. Benzathine penicillin

Explanation: Penicillins are the drug of choice for syphilis.Ref: KDT 5th ed Pg:657